Proposed number of female health workers at subcenter according to IPHS norms.
1. 1
2. 2
3. 3
4. 4

Correct answer: 2. 2

Explanation: IPHS subcenter norms



 

Existing


Proposed



Female health workers
Male health workers
Voluntary workers

1
1
1
(optional)


2
1
1
(optional)



 
2/3
3/4